Best diagnostic modality for parotid swelling is ?
1. Enucleation
2. FNAC
3. Superficial parotidectomy
4. Excisional biopsy

Correct answer: 2. FNAC

Explanation: Ans. is 'b' i.e., FNAC